In contrast to heparin, enoxaparin
1. Can be used without monitoring the patients aPTT
2. Is less likely to have a teratogenic effect
3. Is more likely to be given intravenously
4. Is more likely to cause thrombosis and thrombocytopenia

Correct answer: 1. Can be used without monitoring the patients aPTT

Explanation: Ref: KDT 6/e p599 Enoxaparin is a LMW heparin. It does not require monitoring Both heparin as well as enoxaparin do not crose placenta and are not teratogenic.